Which of the following is true for acanthosis nigricans:
1. May be an indication of skin malignancy
2. Hypopigmentation
3. May be associated with Insulin resistant diabetes mellitus
4. Commonly occurs in lean and thin

Correct answer: 3. May be associated with Insulin resistant diabetes mellitus

Explanation: Ans. C: May be associated with Insulin resistant diabetes mellitus Acanthosis nigricans is associated with obesity and insulin resistance in majority of the patients. In few cases, it may be a reflection of endocrinopathy such as acromegaly, cushing's syndrome polycystic ovarian syndrome. It occurs primarily in flexural areas as velvety hyperpigmentation. It may be a reflection of GIT malignancy.